The most important prognostic factor in carcinoma breast is:
1. Size of tumour
2. Skin involvement
3. Involvement of muscles
4. Axillary gland involvement

Correct answer: 4. Axillary gland involvement

Explanation: Ans: d (Axillary gland involvement)Ref: Patho Robbins, 7th ed, p. 1146 & 6th ed, p. 115, Schwartz surgery, 7th ed, p. 558, Bailey & Love, 24th ed, p. 839 & 23rd ed, p. 765